All of the following are good prognostic factors for acute lymphoblastic leukemia ,except:
1. Age of onset between 2-8 years
2. Initial WBC count less than 50000
3. Hyper ploidy
4. t(9:22), t(8:14), t(4:11)

Correct answer: 4. t(9:22), t(8:14), t(4:11)

Explanation: . t(9:22), t(8:14), t(4:11)